All the following are angiogenic factors EXCEPT -
1. VEGF
2. PDGF
3. IFN
4. TGF\/3

Correct answer: 3. IFN

Explanation: Robbins basic pathology 9th edition page no 67,heading=Growth factors involved in Angiogenesis. Correct option is 3,IFN Vascular endothelial growth factor (VEGF) stimukates both migration and proliferation of endothelial cells,thus initiating the process of capillary sprouting in angiogenesis. Placental growth factor(PIGF) involved in vessel devolopment in embryo. Transforming factor3(TGF3) is also an angiogenic factor.